Rain drop pigmentation is caused by -
1. Clofazimine
2. Dapsone
3. Minocycline
4. Arsenic

Correct answer: 4. Arsenic

Explanation: Ans. is 'd' i.e., ArsenicDrugs causing hyperpigmentationDrugsType of pigmentationo Clofazimineo Psoralenso Minocyclineo Bleomycino Busulfano Cyclophosphamideo Dapsoneo ArsenicOrange pigmentationBrown pigmentationBlue black discoloration in healing acnelesions, shins & mucosaGeneralized hyperpigmentationGeneralized hyperpigmentationGeneralized hyperpigmentationRain drop pigmentation